Carcinoma common in dye industry workers is
1. TCC of bladder
2. SCC of bladder
3. Adenocarcinoma of bladder
4. All of the above

Correct answer: 1. TCC of bladder

Explanation: Aniline dye is a risk for for TCC of bladder.